Empirical therapy for meningococcal meningitis:
1. Cefoxitin
2. Ceftriaxone
3. Cefotetan
4. Gentamicin

Correct answer: 2. Ceftriaxone

Explanation: Ans. B. CeftriaxoneDrug of choice as prophylaxis of meningococcal meningitis is ceftriaxone, ciprofloxacin and rifampicin. Definitive therapy is penicillin G. empirical therapy is ceftriaxone. If it is pregnant female, then we will give ceftriaxone.